Sunburst appearance on the radiograph is seen in
1. Osteosarcoma
2. Osteofibroma
3. Osteomalacia
4. Osteopetrosis

Correct answer: 1. Osteosarcoma